Regarding multiple myeloma which of the following statements is wrong
1. Malignant neoplasm derived from plasma cells
2. Multiple punched out lesions on radiograms of the skull
3. Multiple hot spots on bone scan
4. Melphalan is used in treatment

Correct answer: 3. Multiple hot spots on bone scan

Explanation: In Multiple Myeloma, On X-ray lytic lesions are seen. Bone scan is normal. Level of alkaline phosphate in the blood is normal, (despite extensive bone involvement). Generalize body pain is the commonest presentation. Hypercalcemia raised ESR, Anemia, are the features. Raised b2 microglobulin is a poor prognostic feature.